Tourette is a disorder of
1. Attention deficit
2. Tics
3. Autism
4. Intellectual disability

Correct answer: 2. Tics

Explanation: Tourette's disorder(Gilles de la Tourette) - combined vocal and multiple motor tic disorder. presence of both multiple motor and one or more vocal tics (>1 year) Onset <18 years involuntary, spasmodic, stereotyped movement of small groups of muscles; seen most predominantly in moments of stress or anxiety Ex: Nose twitching, Shoulder shrugging, Sustained eye closure, Tensing of abdominal or limb muscles Etiology- Neurotransmitter dysregulation in basal ganglia, striatum, and frontal lobes. Rx- Haloperidol , pimozide(first line) , Risperidone , olanzapine comorbidity- ADHD, OCD AUTO IMMUNE-PANDAS( Peadiatric Auto immune NeuroPsychiatric disorders assosiated with Streptococcus) Akathisia* Motor restlessness (unpleasant need to move), usually in the lower extremities Ballismus* Intermittent, coarse, large-amplitude, jerking, shaking, flinging movements Chorea* Irregular, spasmodic movements, usually affecting the limbs or face Tic* Non-rhythmic, Stereotyped, rapid, recurring movement, involuntary or semivoluntary, and sudden in onset. TYPES: (motor tic) or vocalization (phonic or vocal tic) Tremor* Unintentional, somewhat rhythmic, muscle movement involving oscillations of one or more parts of the body Stereotypy* Repetitive, usually meaningless, gestures, habits, or automatisms Reference: P 3617: chap 46.Tic Disorders(Kaplan & Sadock's Comprehensive Textbook of Psychiatry, 9th Edition)P 81 DSM-5